What is Dohlman's Procedure in Zenker's Diverticulum?
1. Endoscopic Stapling of Septum
2. Endoscopic Suturing of Pouch
3. Resection of Pouch
4. Laser excision

Correct answer: 1. Endoscopic Stapling of Septum

Explanation: Ans. (a) Endoscopic Stapling of septumRef: Surgery Sixer 3rd Edition Page 322* Endoscopic Stapling Technique for Pharyngeal Pouch (Zenker's Diverticulum) is known as Dohlman's Procedure.